Testosterone production is mainly contributed by:
1. Leydig cells
2. Sertoli cells
3. Seminiferous tubules
4. Epididymis

Correct answer: 1. Leydig cells

Explanation: Ans. A: Leydig cellsLeydig/Interstitial cells secrete androgenic hormone testosterone at the time of puberty